Earliest sign of Acute Anterior Uveitis is
1. Lid oedema
2. Aqueous flare
3. Keratic precipitate
4. Hypopyon

Correct answer: 2. Aqueous flare

Explanation: Earliest sign of Acute Anterior Uveitis is Aqueous flare.